Which of the following is not included in the triad of Reiter's syndrome –
1. Conjuctivitis
2. Urethritis
3. Arthritis
4. Keratoderma blenorrhagica

Correct answer: 4. Keratoderma blenorrhagica

Explanation: Classical triad of Reiter's syndrome is reactive arthritis, conjuctivitis and urethritis. Keratoderma blenorrhagica occurs, but it is not included in triad of Reiter's syndrome.